The DSM IV classification of psychiatric disorder as proposed by American Psychiatry Association classifies and helps in diagnosing a patient on multiple axes. Of these, axis V represents the degree of :
1. Present state of symptoms
2. Coinorbid medical condition
3. Global assessment of function
4. Comorbid psychological problem

Correct answer: 3. Global assessment of function

Explanation: Axis I : Clinical psychiatric diagnosis.
Axis II : Personality disorder and intellectual disability.
Axis III : Physical disorders and general medical conditions.
Axis IV : Psychosocial and environmental problems.
Axis V : Global assessment of functioning.